What is the most probable portal of entry of Aspergillus?
1. Puncture wound
2. Blood
3. Lungs
4. Gastrointestinal tract

Correct answer: 3. Lungs

Explanation: Aspergillus species are widely distributed on decaying plants, producing chains of conidia. Aspergillus species unlike Candida species do not form the part of normal flora of humans. They are ubiquitous in the environment; hence transmission of infection is mostly exogenous. Aspergillus transmission occurs by inhalation of airborne conidia. Risk Factors for invasive aspergillosis are: Glucocorticoid use (the most important risk factor) Profound neutropenia or Neutrophil dysfunction Underlying pneumonia or COPD, tuberculosis or sarcoidosis Antitumor necrosis factor therapy.